Incubation period of chancroid is:
1. < 7 days
2. 10-14 days
3. 2-3 weeks
4. 3-4 weeks

Correct answer: 1. < 7 days

Explanation: Chancroid: caused by Hemophilus ducreyi Incubation period is 4 to 7 days Azithromycin is drug of choice Ref: Park 21st edition, page 305.